True about amnion are all except:
1. No lymph supply
2. Rich blood supply
3. No nerve supply
4. Dilates cervix during labour

Correct answer: 2. Rich blood supply

Explanation: Ans: B (Rich blood supply) Ref: Dutta Textbook of Obstetrics 5th ed pg 37Explanation:AMNIONInner layer of fetal membranesAmnion can be peeled off the fetal surface of placenta except at the site of insertion of umbilical cord0.02 to 0.5 mm thickNo blood or nerve or lymph supplyFunctions:Contributes to formation of liquor amniiPrevents ascending uterine infectionDilatation of cervix during labourSteroid hormone metabolismSource of glvcerophospholipids--Precursors of PG E2 and F2 alpha